"Chipmunk face" is characteristically seen in
1. Beta thalassemia major
2. Fetal alcohol syndrome
3. Cushing's syndrome
4. Acromegaly

Correct answer: 1. Beta thalassemia major

Explanation: (A) Beta thalassemia major # Chipmunk Face: A descriptor for expanded globular maxillae, with BM hyperexpansion into facial bones, combined with prominent epicanthal folds, characteristic of severe beta-thalassemia. Chipmunk face may also refer to soft tissue swelling-- e.g., diffuse parotid gland swelling--accompanied by xerostomia and reddened eyes, seen in Sjogren syndrome> Hippocratic face (also known as "Hippocratic facies"; eyes are sunken, temples collapsed, nose is pinched with crusts on the lips and the forehead is clammy)